Design of the major connector must be determined at the time of:
1. Primary impression making.
2. Treatment planning.
3. At the time of the final impression making.
4. Any of the above.

Correct answer: 2. Treatment planning.

Explanation: Design of the major connector must be determined during diagnostic and treatment planning phase, because mouth preparation procedures depend in part on the contemplated design of major connectors.